About nasal syphilis the following is true, except:
1. Perforation occurs in septum
2. Saddle nose deformity may occur
3. In newborn, it presents as snuffles
4. Secondary syphilis is the common association

Correct answer: 4. Secondary syphilis is the common association

Explanation: Nasal syphilis may be: Acquired: Primary, e.g. chancre in vestibule Secondary, e.g. simple rhinitis, crusting and fissuring leading to atrophic rhinitis Tertiary, e.g. Gumma leads to septal perforation and saddle nose deformity (due to collapse of nasal bridge) Congenital: Early (first 3 months): Presenting as snuffles, purulent nasal discharge, fissuring excoriation. Late (around puberty): Gumma in septum and other stigmatas. Teritary syphilis is a common association: primary and secondary syphilis are rare association in nasal syphilitis. Septal perforation occurs in bony part in case of syphilis.